Beyond 30 meters death is usually rare in case of shot gun wound. What is the expected area of spread of pellets at 30 meters when fired from full choke shotgun?
1. 45 cm
2. 55 cm
3. 65 cm
4. 75 cm

Correct answer: 4. 75 cm

Explanation: The spread of pellets from a fully choked barrel is given below: 10 meter - 25 cm 15 meter - 35 cm 20 meter - 45 cm 30 meter - 75 cm Note: In a choked-bore the distal 7-10 cm of the barrel is narrow. Ref: Textbook of Forensic Medicine and Toxicology by Narayan Reddy, Edition 21, Page -172, 181